Which of the following intravenous induction agents is the most suitable for day care surgery:
1. Morphine
2. Ketamine
3. Proplofol
4. Diazepam

Correct answer: 3. Proplofol